Grape - like, polypoid, bulky mass protruding through vagina in 4 - year old girl is characteristic of
1. Fibrosarcoma
2. Leiomyosarcoma
3. Inflammatory polyp
4. Sarcoma botryoides

Correct answer: 4. Sarcoma botryoides

Explanation: sarcoma botryoides :

It is a variant of embryonal from of rhabdomyosarcoma.
Here tumour project into body cavity like a bunch of grapes.